You are asked to help consult on a study which was recently completed in coastal African country. In this study, a total of 274 soldiers stationed in three different camps were examined and tested for the presence of bacterial sexually transmitted diseases (STD) and human immunodeficiency virus (HIV) positivity. In addition to the information from the clinical exam and laboratory specimens, interviews were conducted to gather information on age, years of military service, ethnicity, and region of origin. The data are now to be analyzed to learn which factors were associated with the presence of STDs, including HIV. What is the most accurate description of this study design?
1. A case-control study
2. A cohort study
3. A clinical trial
4. A cross-sectional study

Correct answer: 4. A cross-sectional study

Explanation: In a cross-sectional study, a variety of independent variables can be studied for their association with the outcome variables. In this example, the independent variables would include age, years of military service, ethnicity, and region of origin. The outcome variables include the presence of bacterial sexually transmitted diseases (STDs) and HIV positivity. This study does not meet the criteria for being a case-control, cohort, or case-cohort study, nor is it a clinical trial. The cross-sectional study is limited in its power, and valid inferences may be especially difficult to make from cross-sectional studies, even when statistically significant associations are observed.